Cold water is not used for ear cleaning because
1. It will make the wax hard
2. Damage to tympanic membrane
3. Caloric stimulation caused by cold water
4. It will cause infection

Correct answer: 3. Caloric stimulation caused by cold water

Explanation: temperature for ear syringing - 370c because if you decrease or increase the temperature we can stimulate lateral semicircular canal in the middle ear and patient will have vertigo and nystagmus (caloric stimulation )